The most common enzyme deficiency in man is ?
1. Glucose-6-phosphate dehydrogenase
2. Glucose-6-phosphatase
3. Hexokinase
4. Glucose-1.6-diphosphatse

Correct answer: 1. Glucose-6-phosphate dehydrogenase

Explanation: A i.e. Glucose-6- PO4 dehydrogenaseGlucose 6 phosphate dehydrogenase deficiency is most common and pyruvate kinase deficiency is 2.d most common cause of enzyme deficiency related hemolytic anemiaQ.